Which statement among the following is false about Hero 642 shaper
1. Cutting tip
2. Cutting edges
3. Tri helical cross-section/Triangular helix
4. Increased torque resistance

Correct answer: 1. Cutting tip

Explanation: Majority of NiTI rotary files have non cutting tips with the exception of Quantec SC